Which of the following is an active metabolite of another drug and is available as a separate drug for the treatment of angine?
1. Isosorbide mononitrate
2. Isosorbide dinitrate
3. Nitroglycerine
4. Propanolol

Correct answer: 1. Isosorbide mononitrate

Explanation: (Ref: KDT 6/e p525) It is a metabolite of isosorbide dinitrate and is also available as a separate drug. It undergoes least first pass metabolism.